Mucooceles are rarely seen in the
1. Lower lip
2. Upper lip
3. Buccal mucosa
4. Floor of the mouth

Correct answer: 2. Upper lip